The antidote of choice in paracetamol poisoning is-
1. Flumazenil
2. Sodium bicarbonate
3. Acetylcysteine
4. Methylene blue

Correct answer: 3. Acetylcysteine

Explanation: Antidote for paracetamol poisoning is Acetylcysteine. Reference: Harrison20th edition pg 789